Investigation of choice for evaluating pleural diseases:
1. USG
2. Chest X-ray
3. CT scan
4. MRI

Correct answer: 3. CT scan

Explanation: Ans. C: CT scan CT displays pleural abnormalities more readily than either plain radiography or ultrasound, and may distinguish benign from malignant pleural disease